In radial nerve injures paralysis of the brachioradialis, extensor carpi radialis longus and brevis, extensor digitorum and extensor pollicis longus but sparing of the triceps places the nerve lesion at
1. The level of the elbow
2. The level of the humeral shaft (mid)
3. Avulsion at the nerve root level
4. The level of the brachial plexus

Correct answer: 2. The level of the humeral shaft (mid)

Explanation: The level of the humeral shaft (mid) Nerve supply to the triceps is proximal to the mid shaft level